A 6 month old child presents with congenital inguinal hernia. Next step would be:
1. Observation
2. Wait for 3 years & operate
3. Operate immediately
4. Truss

Correct answer: 3. Operate immediately

Explanation: Ans: C i.e. Operate immediately